Enameloplasty is
1. Filling of enamel fissures with amalgam
2. Elimination of shallow enamel fissures
3. Is same as prophylactic odontomy
4. All of the above

Correct answer: 2. Elimination of shallow enamel fissures